Mental health programme was started in -
1. 1982
2. 1987
3. 1990
4. 1995

Correct answer: 1. 1982

Explanation: Ans. is 'a' i.e., 1982 Ref- o The Government of India has launched the National Mental Health Programme (NMHP) in 1982. Also, know o Mental health act was started in 1987. Some important Health. Programmes of India o National Family Planning Programme : 1951 o National Malaria Control Programme (NMCP) : 1953 o Lymphatic Filariasis Control Programme: 1955 o National Leprosy Control Programme : 1955 o National Malaria Eradiction Programme (NMEP): 1958 o National Tuberculosis Programme (NTP): 1962 o National Goitre Control Programme (NGCP): 1962 o National Trachoma Control Programme: 1963 o Urban Malaria Scheme (UMS) : 1971 o Integrated Child Development Services (ICDS) Scheme : 1975 o National Cancer Control Programme: 1975-76 o National Programme of Control of Blindness (NPCB): 1976 o Kaia Azar Control Programme : 1977 o Modified Plan of Operation (MPO): 1977 o National Mental Health Programme : 1982 o National Leprosy Eradication Programme (NLEP): 1983 o National Guineaworm Eradication Programme: 1983-84 o National AIDS Control Programme (NACP) : 1987 o Revised National Tuberculosis Control Programme (RNTCP) : 1992 o Child Surv ival and Safe Motherhood (CSSM) Programme : 1992 o National AIDS Control Programme I (NACP 1) : 1992-97 o National Iodine Deficiency Disorders Control Programme (NIDDCP) : 1992 o Yaws Eradication Programme : 1996-97 o Revised Lymphatic Filariasis Control Programme : 1996-97 o Enhanced Malaria Control Project (EMCP) : 1997 o Reproductive and Child Health Programme : 1997 o Modified Leprosy Elimination Campaigns (MLEC): 1998-2004 o National Anti Malaria Programme (NAMP) : 1999 o National Oral Health Project: 1999 o National AIDS Control Programme II (NACP II): 1999-2004 o National Vector Borne Disease Control Programme (NVBDCP) : 2003-04 o Integrated Disease Surveillance Project (IDSP): 2004-09 o Reproductive and Child Health Programme II: 2004-09 o National Rural Health Mission (NRHM), 2005-12 o National AIDS Control Programme 111 (NACP 111) : 2006-11 NATIONAL MENTAL HEALTH PROGRAMME Introduction Psychiatric symptoms are common in the general population on both sides of the globe. These symptoms - worry, tiredness, and sleepless nights affect more than half of the adults at some time, while as many as one people in seven experiences some form of the diagnosable neurotic disorder. Burden of Disease The World Bank report (1993) revealed that the Disability Adjusted Life Year (DALY) loss due to neuro-psychiatric disorder is much higher than diarrhea, malaria, worm infestations and tuberculosis if taken individually. According to the estimates, DALYs loss due to mental disorders is expected to represent 15% of the global burden of diseases by 2020. During the last two decades, many epidemiological studies have been conducted in India, which shows that the prevalence of the major psychiatric disorder is about the same all over the world. The prevalence reported from these studies range from the population of 18 to 207 per 1000 with the median 65.4 per 1000 and at any given time, about 2 -3 % of the population, suffer from seriously, incapacitating mental disorders or epilepsy. Most of these patients live in rural areas remote from any modern mental health facilities. A large number of adult patients (10.4 - 53%) coming to the general OPD are diagnosed mentally ill. However, these patients are usually missed because either medical officer or general practitioner at the primary health care unit does not ask detailed mental health history. Due to the under-diagnosis of these patients, unnecessary investigations and treatments are offered which heavily cost to the health providers. Programme The Government of India has launched the National Mental Health Programme (NMHP) in 1982, keeping in view the heavy burden of mental illness in the community, and the absolute inadequacy of mental health care infrastructure in the country to deal with it. Aims 1. Prevention and treatment of mental and neurological disorders and their associated disabilities.2. Use of mental health technology to improve general health services.3. Application of mental health principles in total national development to improve quality of life. Objectives 1. To ensure availability and accessibility of minimum mental health care for all in the foreseeable future, particularly to the most vulnerable and underprivileged sections of the population.2. To encourage the application of mental health knowledge in general health care and in social development.3. To promote community participation in the mental health services development and to stimulate efforts towards self-help in the community. Strategies 1. Integration mental health with primary health care through the NMHP;2. Provision of tertiary care institutions for treatment of mental disorders;3. Eradicating stigmatization of mentally ill patients and protecting their rights through regulatory institutions like the Central Mental Health Authority, and State Mental health Authority. Mental Healthcare 1. The mental morbidity requires priority in mental health treatment2. Primary health care at the village and subcentre level3. At Primary Health Centre level4. At the District Hospital level5. Mental Hospital and teaching Psychiatric Units District Mental Health Programme Components 1. Training programmes of all workers in the mental health team at the identified Nodal Institute in the State.2. Public education in the mental health to increase awareness and reduce stigma.3. For early detection and treatment, the OPD and indoor services are provided.4. Providing valuable data and experience at the level of community to the state and Centre for future planning, improvement in service and research. Agencies like the World Bank and WHO have been contacted to support various components of the programme. Funds are provided by the Govt. of India to the state governments and the nodal institutes to meet the expenditure on staff, equipment, vehicles, medicine, stationary, contingencies, training, etc. for initial 5 years and thereafter they should manage themselves. Govt. of India has constituted central Mental Health Authority to oversee the implementation of the Mental Health Act 1986. It provides for the creation of the state Mental Health Authority also to carry out the said functions. The National Human Rights Commission also monitors the conditions in the mental hospitals along with the government of India and the states are currently acting on the recommendation of the joint studies conducted to ensure quality in the delivery of mental care. Thrust areas for 10th Five Year Plan 1. District mental health programme in an enlarged and more effective form covering the entire country.2. Streamlining/ modernization of mental hospitals in order to modify their present custodial role.3. Upgrading the department of psychiatry in medical colleges and enhancing the psychiatry content of the medical curriculum at the undergraduate as well as postgraduate level.4. Strengthening the Central and State Mental Health Authorities with a permanent secretariat. Appointment of medical officers at state headquarters in order to make their monitoring role more effective;5. Research and training in the field of community mental health, substance abuse and child/ adolescent psychiatric clinics.